Inhibition of glycolysis is increased supply of O2 is
1. Crabtree effect
2. Pasteur effect
3. Lewis effect
4. Krebs effect

Correct answer: 2. Pasteur effect

Explanation: Pasteur Effect - Under aerobic conditions, glycolysis is inhibited. This inhibitory effect of oxygen on glycolysis is known as Pasteur effect. REF:DM VASUDEVAN TEXTBOOK OF BIOCHEMISTRY, EIGHTH EDITION,PG.NO.,134.